Battle sign is positive, if bruise in
1. Orbital region
2. Occipital region
3. Mastoid region
4. Neck region

Correct answer: 3. Mastoid region

Explanation: Ans. (C). Mastoid region(Ref: Review of Forensic Medicine & toxicology; Gautum Biswas; 2nd edition; Pg - 236)Bruising/ecchymosis over the mastoid processQ in the line of posterior auricular artery.It is an indication of fracture of middle cranial fossaQof the skull, and may suggest underlying brain trauma